Presence of Crytosporidium in a stool sample is identified using
1. Modified acid fast staining
2. Iodine staining
3. Warthin Starry stain
4. Iron haematoxylin stain

Correct answer: 1. Modified acid fast staining